GG drill works at
1. 750-1500 rpm
2. 1500-2500 rpm
3. 200-750 rpm
4. None of the above

Correct answer: 1. 750-1500 rpm